All of the following are true regarding congenital tuberculosis except
1. Most common primary site for congenital tuberculosis is liver.
2. Beitzke criteria is the diagnostic criteria
3. Lungs are never affected in congenital tuberculosis
4. Is acquired either transplacentally or by aspiration of amniotic fluid

Correct answer: 3. Lungs are never affected in congenital tuberculosis

Explanation: Although liver is primary site of infection, Lung are eventually affected in congenital tuberculosis.